Which of the following is the most common malignant germ cell tumor of ovary?
1. Yolk sac tumor
2. Dysgerminoma
3. Polyembryoma
4. Choriocarcinoma

Correct answer: 2. Dysgerminoma

Explanation: Ans. is 'b' i.e., Dysgerminoma Dvsgerminomao It is the most common malignant germ cell tumor of ovary,o It affects young women and is usually unilateral.o Bilateral tumors are seen in 15 - 20% of the cases.o It is fleshy in consistency.o Histologically it shows presence of lymphocytic infiltration which is considered a good prognostic sign.